All of the following are methods of Induction of labour except :
1. Estrogen
2. Oxytocin
3. Stripping of membrane
4. PGE7

Correct answer: 1. Estrogen

Explanation: Estrogen